In DMF index, according to WHO specification teeth missing due to any other reason other than caries is designated as
1. D
2. M
3. F
4. None of the above

Correct answer: 4. None of the above